A patient presents in emergency in shock, with a history off fleshy mass protruding from vagina with heavy bleeding PV. She had history of delivery at home 1 hour back by a health worker with a history of difficulty in placental removal and 'Uterine handling'. Most probable diagnosis is?
1. Atonic PPH
2. Uterine inversion
3. Fibroid polyp
4. Cervical tear

Correct answer: 2. Uterine inversion

Explanation: Uterine inversion presents after excessive traction on cord for pulling out the placenta, which leads to partial or complete inversion of uterus. It is usually associated with PPH and may result in shock (hemorrhagic and neurogenic. However more common cause of mortality is hemorrhagic) if treatment is delayed.